In cariogram, green color indicates
1. Actual chance of avoidance of new caries
2. Diet
3. Bacteria
4. Susceptibility

Correct answer: 1. Actual chance of avoidance of new caries